Doctrine of res ipsa loquitur means
1. Fact speaks for itself
2. Medical maloccurrence
3. Common knowledge doctrine
4. Mandatory oral evidence

Correct answer: 1. Fact speaks for itself

Explanation: res ipsa loquitur means "the thing speaks for itself," - a doctrine of law that one is presumed to be negligent if he/she/it had exclusive control of whatever caused the injury even though there is no specific evidence of an act of negligence, and without negligence the accident would not have happened. Ex: "Leaving a pair of scissors in the abdomen The error is so self-evident that the patient's lawyer need not prove the doctor's guilt with medical evidence. The doctor has to prove his innocence. Ref: Krishnan vij Textbook of Forensic Medicine and Toxicology; 5th ed; Page no: 364